Antidepressant drug used in nocturnal enuresis is:
1. Imipramine
2. Fluoxetine
3. Trazodone
4. Sertraline

Correct answer: 1. Imipramine

Explanation: Sleep related enuresis- Treatment Bed alarms (behavioral therapy)- TOC Desmopressin (DOC) Imipramine (TCA Antidepressant)